Amplifier for Japanese encephalitis –
1. Horse
2. Pigs
3. Dogs
4. Monkey

Correct answer: 2. Pigs

Explanation: In Japanese encephalitis
Pigs → Amplifiers.
Cattle and buffalos → Mosquito attractants Man → Incidental dead-end host Herons → Reservoir hosts